Not a classification of fracture neck of femur
1. Garden's
2. Olebet
3. Pauwel's
4. Thompson's

Correct answer: 4. Thompson's